Mycotic abscesses are due to -
1. Bacterial infection
2. Fungi
3. Viral infec.ion
4. Mixed Infection

Correct answer: 2. Fungi

Explanation: Subcutaneous mycosis includes a large spectrum of infections caused by a heterogeneous group of fungi. The main subcutaneous fungal infections include sporotrichosis, aspergillosis chromoblastomycosis, mycetoma, lobomycosis, rhinosporidiosis, subcutaneous zygomycosis, and subcutaneous phaeohyphomycosis. Ref Davidson 23rd edition pg 234